Which of the following syndrome is associated with ectopia lentis?
1. Down's
2. Edward's
3. Marfan's
4. Turner's

Correct answer: 3. Marfan's

Explanation: Dislocation of lens with systemic anomalies: Marfans syndrome: In this condition, lens is displaced upwards and temporally (bilaterally symmetrical) Homocystinuria: In it the lens is usually subluxated downwards and nasally Weil-Marchesani syndrome: Forward subluxation of lens is seen Ehlers-Danlos syndrome: In this, ocular features are subluxation of lens and blue sclera Hyperlysinemia: Occasionally associated with ectopia lentis Stickler syndrome: Occasionally associated with ectopia lentis Sulphite oxidase deficiency: It is an autosomal recessive condition with ectopia lentis Ref: Comprehensive Ophthalmology by AK Khurana, 4th edition, Page 202-203.